Faget sign is:
1. Tachycardia with hypertension
2. Bradycardia with hyperthermia
3. Tachycardia with hyperthermia
4. Bradycardia with hypothermia

Correct answer: 2. Bradycardia with hyperthermia

Explanation: The Faget sign (sphygmothermic dissociation) is the unusual pairing of fever and bradycardia (slow pulse). It is often seen in 1) Yellow fever 2) Typhoid Fever 3) Tularaemia 4) Brucellosis 5) Colorado tick fever 6) Some pneumonias - Legionella pneumonia and Mycoplasma pneumonia 7) Drug Fever (e.g. Beta-Blockers, known as the Beta-Faget sign) Notably, Faget sign in bacterial infections is associated with bacteria that have an intracellular life cycle